False about MHC class
1. Present on All nucleated cells
2. Presented to CD4 Tcells
3. Presentation is by Cytosolic pathway
4. Size is 8-10 amino acid long

Correct answer: 2. Presented to CD4 Tcells

Explanation: Presented to CD8 T-cells.